Which among the following is not a cause of hypoglycaemia?
1. Glucagon excess
2. Glucose 6 phosphatase deficiency
3. Uremia
4. Glycogen synthase deficiency

Correct answer: 1. Glucagon excess